Abduction of Hand is caused by
1. FCR
2. FCU
3. FDP
4. FDS

Correct answer: 1. FCR

Explanation: The flexor carpi radialis muscle originates from the medial epicondlyle of humerus and inserts into the bases of 2nd and 3rd metacarpal bones. Its action is abduction of hand at the wrist joint. BD CHAURASIA 7th edition ,page 108 table 9.2